Following are "essential diagnostic criteria" according to
graber except
1. Case history
2. Facial photographs
3. Periapical x-rays
4. Lateral cephalograms

Correct answer: 4. Lateral cephalograms